Creatinine clearance is used to assess?
1. Glomerular function
2. Afferent loop pressure
3. Tubular function
4. None of the above

Correct answer: 1. Glomerular function

Explanation: ANSWER: (A) glomerular functionREF: Vasudevan biochemistry page 320In clinical practice creatinine clearance or estimates of creatinine clearance based on the serum creatinine level are used to measure GFR.Creatinine is produced naturally by the body (creatinine is a break-down product of creatine phosphate, which is found in muscle). It is freely filtered by the glomerulus, but also actively secreted by the peritubular capillaries in very small amounts such that creatinine clearance overestimates actual GFR by 10-20%Creatinine clearance (Cc) is calculated from the creatinine concentration in the collected urine sample (U ), urine flow rate (V), and the plasma concentration (P ). Since the product of urine concentration and urine flow rate yields creatinine excretion rate, which is the rate of removal from the blood, creatinine clearance is calculated as removal rate per min (U x V) divided by the plasma creatinine concentration. This Is commonly represented mathematically asNote: The most accurate determination of GFR is by inulin clearance.CCr =UCr x VPCr